Not used for treating acute iron poisoning:
1. Desferrioxamine
2. BAL
3. Magnesium hydroxide
4. Hemodialysis

Correct answer: 2. BAL

Explanation: Ans. B: BAL Chelation with desferrioxamine is the mainstay of therapy. It is indicated for serum iron levels >350 mcg/ dL with evidence of toxicity or >500 mcg/ dL regardless of signs or symptoms. Because adsorption to activated charcoal is minimal, whole bowel irrigation is the GI decontamination (polyethylene glycol) is the method of choice. 1 percent Magnesium hydroxide solution orally Hemodialysis/exchange transfusion in severe cases.